Lady with central obesity & abd. Skin showing purple striae-
1. Conn's syndrome
2. Cushing's syndrome
3. Addison's disease
4. Hypothyroidism

Correct answer: 2. Cushing's syndrome

Explanation: centripetal obesity, and broad violaceous cutaneous striae in abdomen classical presentation of Cushing's syndrome ( Harrison 17 pg 2255)